Malabsorption caused by A/E -
1. Giardia
2. Ascaris lumbricoides
3. Strongyloides
4. Capillaria philipensis

Correct answer: 2. Ascaris lumbricoides

Explanation: Ans. is 'b' i.e., Ascaris lumbricoides Capillaria philippinensisThe parasite is small: Males measures 2.3 mm to 3.2 mm and females measure 2.5 mm to 4.3 mm long. The male has small caudal alae and a spineless spicule sheath.Pathology in Capillaria infectionWorms repeatedly penetrate mucosa of the small intestine and reenter the lumen especially jejunum leading to progressive degeneration of mucosa and submucosa. Infected people usually experience diarrhoea and abdominal pain progressing to weight loss, weakness malaise, anorexia and emaciation. Protein and electrolytes are lost and there is malabsorption of fats and sugars. Patients die from loss of electrolytes, heart failure and sometimes secondary bacterial infection.